Antibiotic sensitivity testing can be done using all except
1. E test
2. Kirby-Bauer method
3. Culture agar method
4. Broth dilution method

Correct answer: 3. Culture agar method

Explanation: Ans. is 'c' i.e., Culture agar method Tests used for antimicrobial sensitivity are : Disc susceptibility test (most commonly used) Broth dilution susceptibility test Kirby-Bauer disc diffusion method E-test (Epsilonieter test)